Best treatment of strawberry angioma is -
1. Sclerosants
2. Corticosteroids
3. Masterly inactivity
4. Excision

Correct answer: 3. Masterly inactivity